Small airways have laminar air flow because
1. Reynold's number>2000
2. Very small diameter
3. Extremely low velocity
4. Low cross sectional area.

Correct answer: 3. Extremely low velocity

Explanation: The probability of turbulence is determined by Reynold's number. When it is more than 3000, the flow is almost always turbulent. When it is less than 2000, the flow is usually non-turbulent (laminar). Reynold's number is directly proportional to Density of fluid Diameter of vessel Velocity of flow Ref: guyton and hall textbook of medical physiology 12 edition page number:321,321,322